Statistical Power of a trial is equal to:
1. 1 + a
2. 1 - b
3. a + b
4. a / b

Correct answer: 2. 1 - b

Explanation: Statistical power of a test Power of a statistical test = 1 - probability of type II error = 1 -b Is probability of rejecting a Null hypothesis when a predetermined clinically significant difference is a indeed present Power can be increased by increasing the no. of subjects in a trial